As per CEAP classification healed venous ulcer is
1. C2
2. C3
3. C4
4. C5

Correct answer: 4. C5

Explanation: CEAP (Clinical-aEtiology-Anatomy-Pathophysiology) classification for chronic venous disorders Clinical classificationC0: no signs of venous disease;C1: telangectasia or reticular veins;C2: varicose veins;C3: oedema;C4a: pigmentation or eczema (some include malleolar flare in this category);C4b: lipodermatosclerosis or atrophie blanche;C5: healed venous ulcer;C6: active venous ulcer.Etiological classificationEc: congenitalEp: primaryEs: secondary (post-thrombotic)En: no venous cause identified.Anatomical classificationAs: superficial veinsAp: perforator veinsAd: deep veinsAn: no venous location identified.Pathophysiological classificationPr: refluxPo: obstructionPr,o: reflux and obstructionPn: no venous pathophysiology identifiable.Ref: Bailey and love pg: 974